A with tumor lysis syndrome (TLS) is taking allopurinol (Zyloprim). Which laboratory value should the nurse monitor to determine the effectiveness of the medication?
1. Blood urea nitrogen (BUN)
2. Serum phosphate
3. Serum potassium
4. Uric acid level

Correct answer: 4. Uric acid level

Explanation: Allopurinol is used to decrease uric acid levels. BUN, potassium, and phosphate levels are also increased in TLS but are not affected by allopurinol therapy.